Emporiatrics deals with the health of the
1. Farmers
2. Travellers
3. Industrial workers
4. Mine workers

Correct answer: 2. Travellers